Clinically vesicovaginal and ureterovaginal fistula are differentiated by :
1. USG
2. IVP
3. Cystoscopy with dye
4. Methylene blue three swab test

Correct answer: 4. Methylene blue three swab test

Explanation: Methylene blue three swab test